Antibiotic sensitivity and resistance of micro organisms is determined by
1. Direct microscopy
2. Culture
3. ELISA
4. DNA probe

Correct answer: 2. Culture